Retinoblastoma gene is located on –
1. Chromosome 5
2. Chromosome 8
3. Chromosome 13
4. Chromosome 16

Correct answer: 3. Chromosome 13